All of the following are classified under Pervasive Developmental Disorders except?
1. Asperger Syndrome
2. Childhood Disintegrative Disorder
3. Down Syndrome
4. Heller's syndrome

Correct answer: 3. Down Syndrome

Explanation: Ans. C. Down SyndromePervasive developmental disorder includes:* Autistic disorder* Asperger's disorder* Childhood disintegrative disorder,* Rett syndrome* Pervasive developmental disorder not otherwise specified.